Insulin dependent glucose transport occurs in all except:
1. Heart
2. Adipose tissues
3. Liver
4. Skeletal muscles

Correct answer: 3. Liver

Explanation: (Refer: Mark’s basic medical biochemistry. A clinical approach, 2nd edition, pg no: 505)
Various transporters present in human tissues with their special characteristics